Which of the following is true about polyarteritis nodosa?
1. It shows fibrinoid necrosis in large blood vessels
2. It has ANCA positivity
3. HBsAg is positive in 30% patients
4. Affected individuals have involvement of pulmonary circulation.

Correct answer: 3. HBsAg is positive in 30% patients

Explanation: This condition is characterized by necrotizing immune complex inflammation of small- and medium-sized arteries. It is marked by the destruction of arterial media and internal elastic lamella, resulting in aneurysmal nodules. There is an association with hepatitis B viral infection in 30% of patients. Clinical manifestations often include fever, weight loss, malaise, abdominal pain, headache, myalgia, and hypertension. Polyarteritis nodosa is seen in the following sites: Kidneys, with immune complex vasculitis in the arterioles and glomeruli; renal lesions, and hypertension cause most deaths from polyarteritis nodosa. Coronary arteries, resulting in ischemic heart disease Musculoskeletal system, resulting in myalgia, arthralgia, or arthritis Gastrointestinal tract, manifesting as nausea, vomiting, or abdominal pain Central nervous system (CNS) or peripheral nervous system, the eye, or skin